All of the following structures cross the Right Ureter Anteriorly, Except:
1. Terminal ileum
2. Vas deferens
3. Genitofemoral nerve
4. Right Colic and ileo colic vessels

Correct answer: 3. Genitofemoral nerve

Explanation: C i.e. Genitofemoral nerve Ureter is supplied by renal, gonadal (testicular or ovarian), Colic, aorta, iliac (common & internal), vesicle (superior & inferior) middle rectal & uterine arteries.